Liquid chemical waste is discarded in
1. yellow
2. red
3. black
4. blue

Correct answer: 1. yellow

Explanation: ref : park 21st ed